Antibody used in treatment of RSV infection is:
1. Omalizumab
2. Palivizumab
3. Rituximab
4. Daclizumab

Correct answer: 2. Palivizumab

Explanation: Answer is B (Palivizumab): Palivizumab is a recombinant humanized, monoclonal IgG antibody directed against the RSV fusion protein. It is licensed for the prevention of serious lower respiratory tract infection caused by RSV in children at high risk Palivizumab should be administered intramuscularly as 15 mg/kg every 30 days for a total of five doses during RSV season, which is generally from November through March, to high risk infants. Infants or children that develop an RSV infection should continue to receive prophylaxis following recovery because the naturally acquired antibodies are not fully protective. Motavizumab is a new, enhanced potency, humanized RSV monoclonal antibody that has demonstrated 50-100 times greater neutralizing activity against RSV. In completion of a phase III trial, Motavizumab was found equal to Palivizumab for the prevention of RSV hospitalization and superior to Palivizumab for reduction of RSV-specific outpatient medically attended lower respiratory tract infection